Sub-arachnoid space ends at
1. S2 level
2. L5 level
3. S1 level
4. L3 level

Correct answer: 1. S2 level

Explanation: (A) S2 level> Subarachnoid space surrounds the brain & spinal cord, and ends below at the lower border of the second sacral vertebra.